Which of the follow ing act through ty rosine kinase receptor-
1. Insulin
2. Glucagons
3. GH
4. FSH

Correct answer: 1. Insulin

Explanation: Ans. is 'a' i.e., Insulin TYPES OF RECEPTORSMembrane receptorso Present on the cell membrane.o Their drug.;hormone binding domain is extracellular and effector domain is intracellular,o These are:G protein coupled receptors - It may act through.Adenylyl cyclase| cAMP - TSH, FSH, LH, ACTH, glucagon, PTH, adrenaline, calcitonin, vasopressin (V2).| cAMP - PR1H (Dopamine)IP.-DAG (Ca2+ and protein kinase 'c') - Vasopressin (V1), oxytocin.Channel regulation (Ca+2, K+, Na+)Receptor with Intrinsic ion channels - (Nay K+, Ca-2 or Cl-)Enzyme linked receptorsIntrinsic enzyme receptors (tyrosine kinase receptors) - Insulin.JAK-STAT kinase binding receptors - Growth hormone, Prolactin.Intracellular receptors (transcription factors)o Present inside the cell and induce synthesis of specific protein by increasing the expression of specific gene.Cytoplasmic - Glucocorticoids. Mineralocorticoids, Androgens, Progestins. Nuclear - Thyroxine, Triiodothyronine, Estrogen, retinoic acid, Vit D.